All are true regarding LCH except
1. Papular trunk lesions with scaling & crusting
2. Ulcerative nodules on mucosa
3. Calvarial defect with map lesions & floating teeth
4. CD - 68 positive

Correct answer: 4. CD - 68 positive

Explanation: D i.e. CD - 68 positive